Average weight of spleen in adult:
1. 5 ounce
2. 7 ounce
3. 14 ounce
4. 21 ounce

Correct answer: 2. 7 ounce

Explanation: Ans. B 7 ounceRef: BDC, 6th ed. vol. II pg. 294* On an average the spleen is 1 inch or 2.5 cm thick, 3 inches or 7.5 cm broad, 5 inches or 12.5 cm long and 7 ounces in weight.Some Must Know Weights* Weight of liver: 1.5 kg.* Weight of thyroid gland: 25 gm* Weight of prostate: 8 gm.